Calcium channel blocker causing cerebral vasodilatation is:-
1. Nimodipine
2. Felodipine
3. Amlodipine
4. Nitrendipine

Correct answer: 1. Nimodipine

Explanation: Nimodipine (DHPs)- Blocks Ca2+ channel only in cerebral blood vessels-Cerebral vasodilation Used in subarachnoid hemorrhage (SAH). Felodipine is approved for Tx of Raynaud's disease. Amlodipine has higher oral bioavailability- used in hypertension Nitrendipine - it has been shown to release NO from endothelium & inhibit cAMP phosphodiesterase - vasodilation - indicated in hypertension & angina pectoris.